Predominant class of immunoglobulin during primary immune response is -
1. IgA
2. IgE
3. IgM
4. IgG

Correct answer: 3. IgM

Explanation: IgM antibodies appear early in the course of an infection and usually reappear, to a lesser extent, after further exposure. Ref: Ananthanarayan & Parkers textbook of microbiology 9th edition pg:98